Volunteering a statement can be done by:
1. Eyewitness
2. Chemical examiner
3. Hostile witness
4. Magistrate

Correct answer: 2. Chemical examiner

Explanation: Expert witness (Sec. 45 IEA ): person who has been trained or skilled in technical or scientific subject. Only an expert witness may volunteer a statement, if he thinks that injustice will result if he fails to make the statement. Examples of expert witness: Handwriting or fingerprint expert, doctor,chemical examiner. Hostile